Which of the following drugs is used for termination as well as prophylaxis of paroxysmal supraventricular tachycardia?
1. Digoxin
2. Verapamil
3. Propanolol
4. Quinidine

Correct answer: 2. Verapamil

Explanation: (Ref: KDT 6/e p517) It is used for the treatment as well as prophylaxis of PSVT whereas adenosine is used only for the treatment of acute attack of PSVT.